A 26 years old male with restriction of eye movements in all directions and moderate ptosis but with no Diplopia or squint. Diagnosis is
1. Thyroid ophthalmopathy
2. Chronic progressive external ophthalmoplegia
3. Myasthenia gravis
4. Multiple cranial nerve palsies

Correct answer: 2. Chronic progressive external ophthalmoplegia

Explanation: Ans. (b) Chronic progressive external ophthalmoplegiaRef: Kanski 7/e, p. 852Restriction of ocular movement in both eyes are symmetrical in chronic progressive external ophthalmoplegia, so there is no diplopia.